Sympathectomy is indicated in all of the following excepta) Ischaemic ulcersb) Intermittent claudicationc) Anhidrosisd) Acrocyanosis
1. a
2. c
3. ac
4. bc

Correct answer: 4. bc

Explanation: Sympathectomy is used for the treatment of hyperhydrosis and would worsen anhydrosis rather than treating it.